HIV can infect all except:
1. Circulating dendritic cells
2. CD4 T lymphocytes
3. Macrophages
4. Cytotoxic T cells

Correct answer: 4. Cytotoxic T cells

Explanation: Ans. d. Cytotoxic T cells